The best marker to diagnose thyroid related order is -
1. T3
2. T4
3. TSH
4. Thyroglobulin

Correct answer: 3. TSH